The most common dislocation of TM] is
1. Anterior
2. Posterior
3. Medial
4. Lateral

Correct answer: 1. Anterior